In carcinoma of lower lip secondaries are seen in -
1. Upper cervical LN
2. Supra clavicular LN
3. Axillary LN
4. Mediastinal LN

Correct answer: 1. Upper cervical LN

Explanation: Submental and submandibular nodes are involved first in carcinoma of lips.
Submental and submandibular are included in upper cervical LN or level 1 lymph nodes.